Nodules seen near the collarette are called ?
1. Busacca's nodules
2. Koeppe's nodules
3. Lisch nodules
4. Dalen Fuch's nodules

Correct answer: 1. Busacca's nodules

Explanation: Ans. is 'a' i.e., Busacca's nodules Koeppe's nodules are situated at the pupillary border and may initiate posterior synechia. Busacca's nodules situated near the collarette are large but less common than the Koeppe's nodules.